What is the mode of action of Sodium Cromoglycate -
1. Mast cell stabilization
2. Antihistaminic
3. Anticholinergic
4. None of the above

Correct answer: 1. Mast cell stabilization

Explanation: Ans. is 'a' i.e., Mast cell stabilization Drugs used in AsthmaBronchodilatorsDrugs reducing inflammation LeukotrieneantagonistsMast cell stabilizersCorticosteroidsAnti-IgEantibodya) b2, Sympathomimeticso Vlontc lukasto Zafirlukasto Sodium cromoglycateo Ketotifena) Systemico Hydrocortisoneo Prednisoloneb) Inhalationo Beclomethasomeo Budesonideo Fluticasoneo Flunisolideo Ciclesonideo Omalizumabo Salbutamolo Terbutalineo Bambuteralo Salmeterolo Formoteroio Ephedrineb) Methylxanthineso Theophyllineo Aminophyllineo Doxophylline c) Anticholinergicso Ipratropiumo Tiopratropium